All of the following is lined by Stratified Squamous Epithelium, except?
1. Lips
2. Tongue
3. Roof of the soft palate
4. Oropharynx

Correct answer: 3. Roof of the soft palate